A patient Ashwani has been brought to the hospital with non-stop talking, singing, uncontrollable behavior and apparent loss of contact with reality. You diagnose it to be a case of acute mania. Which of the following is the most suitable drug for rapid control of his symptoms?
1. Lithium carbonate
2. Phenobarbitone
3. Haloperidol
4. Valproic acid

Correct answer: 3. Haloperidol

Explanation: (Ref: KDT 6/e p433) Antipsychotic drugs like olanzapine and haloperidol are agents of choice for rapid control of symptoms in acute mania. Lithium is the drug of choice for the treatment of bipolar disorder (MDP) and prophylaxis of mania.